Elevated WBC count is seen in all except?
1. Typhoid
2. Pertussis
3. Lymphoreticular malignancy
4. TB

Correct answer: 1. Typhoid

Explanation: Typhoid is characterized by leucopenia. Elevated WBC count is seen in Pertussis Lymphoreticular malignancy TB